Wormian bones are seen in all EXCEPT:
1. Hypothyroidism
2. Down's syndrome
3. Turner syndrome
4. Osteogenesis inperfecta

Correct answer: 3. Turner syndrome

Explanation: Ans. c (Turner syndrome) (Ref: Grainger, Diagnostic Radiology, 4th edition, 1949)WORMIAN BONES are intrasutural bony ossicles in lambdoid, posterior sagital, temporo-squamosal sutures of skull.They can be seen in:# Cleido-cranial dysostosis- # Hypothyroidism# Otopalato-digital syndrome# Progeria# Rickets (healing phase)# A Normal infant (upto 6 months of age) # Hypophosphatasia# Idiopathic# Pachydermoperiostitis-Mnemonic: CHOPRA-HIP-PAKDO# Pyknodysostosis# Acroosteolysis-Primary (Hajdu-Cheney disease)# Kinky hair syndrome# Down's syndrome # Osteogenesis imperfecta-